Which of the following does not belong to isomerase class of enzyme?
1. Mutase
2. Racemase
3. Phosphohexoisomerase
4. Transaminase

Correct answer: 4. Transaminase

Explanation: Transaminase belongs to transferases class of enzyme.